Which of the following is not a phospholipid?
1. Lecithine
2. Plasmalogen
3. Cardiolipin
4. Ganglioside

Correct answer: 4. Ganglioside

Explanation: Gangliosides are more complex glycosphingolipids containing more sugar residues plus sialic acid. They are present in the outer layer of the plasma membrane, where they contribute to the glycocalyx and are important as antigens and cell receptors.Ref: Harper's Biochemistry; 30th edition; Chapter 40 Membranes: Structure & Function